The outer covering of diatom is made of:
1. Magnesium
2. Silica
3. Hydrocarbons
4. None

Correct answer: 2. Silica

Explanation: MEDICO-LEGAL SIGNIFICANCE OF DIATOMS TEST Diatoms are unicellular algae with silicaQ***in its cell wall Only a beating heart can transport the diatoms to distant organs It indicates death due to drowningQ*** Diatoms in bone marrow and brain is more reliable than any other organ As diatoms resist putrefactionQ***, it is valuable even in putrefaction Diatoms are negative in dead bodies thrown in waterQ***or dry drowningQ***